Koch's triangle has blood supply from
1. Right coronary
2. Left circumflex
3. Left anterior descending
4. Anterior aortic sinus

Correct answer: 1. Right coronary

Explanation: Koch's triangle has blood supply from Right coronary